Opioid that activates monoamine action is:
1. Tramadol
2. Pentazocine
3. Pethidine
4. Meperidine

Correct answer: 1. Tramadol